Hasse's rule is for -
1. Fetal age
2. Fetal sex
3. Race
4. Fleight

Correct answer: 1. Fetal age

Explanation: Ans. is 'a' i.e., Fetal ageo Hess's rule (Haase's rule): It is a rough method for calculating the age of fetus by measuring the length from crown to heel. Upto 5th month of gestation, length of foetus in cm is square of the month of gestation and beyound 5 months, length in cm is 5 times the month of gestation.